Transplant of kidney from mother to son is an example of:-
1. Autograft
2. Allograft
3. Isograft
4. Xenograft

Correct answer: 2. Allograft

Explanation: Graft Autograft Isograft Homograft (Allograft) Heterograft (Xenograft) Tissue transplanted from one site to another on the same patient Transplant form a genetically identical donor, such as an identical twin Transplant from individual of same species Transplant from another species Xenograft Concordant Xenograft Discordant Xenograft Transplant between closely related species Example: For humans, old world monkeys & apes Advantage: Hyperacute rejections is not a threat Disadvantages: Zoonotic transfer of disease (Particularly retroviral transmission) Transplant between distant related or divergent species Example: For humans, new- world monkeys & other mammals For physiological concern (organ size & availability) pigs are preferred animal donor Disadvantages: High risk of hyperacute rejection